A 9-year-old patient exhibits left maxillary central incisor in cross bite. Supporting bone is in harmony with tooth size. The most probable cause is:
1. Premature extraction of primary right central incisor
2. Prolonged retention of primary Left central incisor
3. Absence of mandibular left central incisor
4. All of the above

Correct answer: 2. Prolonged retention of primary Left central incisor